Rabies can be confirmed in patients early in illness by:
1. Antigen detection by corneal smears immunofluorescence
2. Antigen detection by immunofluorescence of skin biopsy
3. Demonstration of neutralizing antibodies
4. Demonstration of Negri bodies in hippocampus

Correct answer: 2. Antigen detection by immunofluorescence of skin biopsy

Explanation: Ans. B i.e. Antigen detection by immunofluorescence of skin biopsy Rabies can be confirmed in patients early in illness by antigen detection using immunofluorescence of skin biopsy, and by virus isolation from saliva and other secretions. Immunofluorescence of corneal impression smears has proved unreliable. Neutralizing antibodies are not usually detectable in serum of CSF before the eighth day. Negri bodies They are eosinophilic, sharply outlined, pathognomonic inclusion bodies (2-10 um in diameter) found in the cytoplasm of certain nerve cells containing the virus of rabies, especially in Ammon's horn of the hippocampus. Often also found in the cerebellar cortex of postmortem brain samples of rabies victims. They consist of ribonuclear proteins produced by the virus.